Tumor lysis syndrome, all are true except:
1. Hypocalcemia
2. Hyperuricemia
3. Hypophosphatemia
4. Hyperkalemia

Correct answer: 3. Hypophosphatemia

Explanation: Ans. C. HypophosphatemiaExplanationTumor lysis syndrome (TLS) is characterized by hyperuricemia, hyperkalemia, hyperphosphatemia, and hypocalcemia and is caused by the destruction of a large number of rapidly proliferating neoplastic cells. Acidosis may also develop. Acute renal failure occurs frequently.